Swollen belly syndrome is caused by
1. Strongyloides stercoralis
2. Stongyloides fuelleborni
3. Necator Americanus
4. Ancyclostoma duodenale

Correct answer: 2. Stongyloides fuelleborni

Explanation: Strongyloides Fuelleborni causes swollen belly syndrome.